Among the choices mentioned below is a member of family Herpesviridae. It is an enveloped virus with an icosahedral nucleocapsid that contains a double-stranded linear DNA genome.
1. CMV
2. Polio
3. HPV
4. Influenza

Correct answer: 1. CMV

Explanation: CMV